Rickettsiae -a) Multiply only within living cellb) Produce typhus fever of epidemic type onlyc) Transmitted by athropod vectorsd) Respond to tetracycline therapy
1. abc
2. ad
3. bc
4. acd

Correct answer: 4. acd